Which hepatitis is most dangerous in pregnancy:
1. Hepatitis A
2. Hepatitis B
3. Hepatitis C
4. Hepatitis E

Correct answer: 4. Hepatitis E

Explanation: Answer is D (Hepatitis E):